Which of the following is false about Scleritis ?
1. Intense painful condition
2. Violet blue in colour
3. Associated with SLE
4. Most common ocular manifestation in Crohn's Disease

Correct answer: 4. Most common ocular manifestation in Crohn's Disease

Explanation: Episcleritis Scleritis No pain Painful Bright red in colour Voilet blue in colour No scleral edema Scleral edema + Not a/w Systemic d/o A/w RA, SLE By 10% Phenylephrine drops vessels undergo blanching By 10% Phenylephrine drops vessels do not blanch Note- episcleritis is the M/C ocular manifestation manifested in Crohn's Disease